Progesterone peaks on what day of menstrual cycle?
1. 7th day
2. 14th day
3. 21th days
4. 28th day

Correct answer: 3. 21th days

Explanation: Ans. is 'c' i.e., 21st day o The uterine cycle or menstrual cycle is a repeating series of changes in the structure of the endometrium. The uterine cycle average 28 days in length, but it can range from 21 to 35 days in healthy women of reproductive starts. We can divide the Endometrial cycle into three phases :i) Menses: From 1 st to 4th day. Menstrual bleeding indicates end of one cycle and beginning of next cycle. On day 28 endometrium begins of degenerate due to withdrawal of hormonal suport and menstruation starts. Two third of endometrial tissue is lost.ii) Proliferativephse: From 5th to 14th day of menstrual cycle. Proliferation phase (oestrogenic phase) begins with regeneration of the endometrium and lasts until ovullation. Endometium stops growing but becomes more vascular and glandular due to the rising level of estrogen.iii) Secretory phase : Secretory phase (progestogenic phase) begins with ovulation and ends with menstruation. From 15th to 28th day. Progesterone peaks on 21st day.